The property which makes betaxolol different from timolol is that betaxolol :
1. is a b1 selective blocker
2. is more efficacious in glaucoma
3. produces less ocular side effects
4. is shorter acting

Correct answer: 1. is a b1 selective blocker

Explanation: Betaxolol is cardioselective Beta blocker (i.e Beta-1 blocker) Timolol is non-selective Beta blocker(Beta 1 + Beta 2) Betaxolol - less bronchopulmonary and less cardiac, central and metabolic side effects. Betaxolol has protective effect on retinal neurons independent of i.o.t. lowering, by blocking some Ca2+channels and reducing Na+/Ca2+ influx. This action is more prominent in betaxolol than in timolol. Betaxolol is less efficacious in lowering i.o.t. than timolol, because ocular Beta receptors are predominantly of the Beta 2 subtype.